Muscle of rotator cuff -
1. Teres major
2. Pectoralis major
3. Pectoralis minor
4. Teres minor

Correct answer: 4. Teres minor

Explanation: Ans. is 'd' i.e., Teres minoro Rotator cuff (Musculotendinous cuff) is formed by blending of tendons of supraspinatus (superiorly); infraspinatus and teres minor (psoteriorly) and subscapularis (anteriorly).